Which flexor muscle is attached to hook of hamate-
1. Flexor pollicis brevis
2. Flexor pollicis longus
3. Flexor digiti minimi
4. Flexor carpi ulnaris

Correct answer: 3. Flexor digiti minimi

Explanation: Ans. is 'c' i.e., Flexor digiti minimi o The hamate :The tip of the hook gives attachment to the flexor retinaculum.The medial side of the hook gives attachment to the flexor digiti minimi and the opponens digiti minimi.